A 2 year old child is brought to emergency at 3 A M with fever, barking cough and stridor only while crying. The child was able to drink normally. On examination respirator rate is 36/min and temprature is 39.6oC. What will be your next step?
1. Racemic epinephrine nebulization
2. High dose dexamethasone injection
3. Nasal wash for influenza or RSV
4. Antibiotics and blood culture

Correct answer: 2. High dose dexamethasone injection

Explanation: The given symptoms are suggestive of croup. The children with stridor should be hospitalised for close observation and supplemental oxygen. Steroids are helpful in moderate to severe cases.Antibiotics may be indicated if the child fails to improve or purulent secretions are present. Ref : Essential paediatrics,O.P.Ghai,7 th edition,pg no:339